Which is most comonly implicated in genital (vul- val) was ?
1. HPV -16
2. HPV 18
3. HPV 31
4. HPV 6

Correct answer: 4. HPV 6

Explanation: Ans. is d i.e. HPV 6 "Low Risk HPV types 6 and 11 cause nearly all genital was." Details of Genital Was : Genital was are leisons created from productive infection with HPV (most common type 6 and 11). They display various morphologies and appearances ranging from flat papules to the classic verrucous, polyphytic lesions, termed condyloma acuminata". Sites : External genital was may develop at sites in the lower reproductive tract, urethra, anus, or mouth. Diagnosis : They are typically diagnosed by clinical infection, and biopsy is nor required unless co-existing neoplasia is suspected. HPV serotyping is not required for routine diagnosis. Treatment : - Condyloma acuminata may remain unchanged or resolve spontaneously Effect of treatment on future viral transmission is unclear. However, many women prefer removal, and lesions can be destroyed with sharp or electrosurgical excision, cryotherapy, or laser ablation. In addition, very large. bulky lesions may be managed with cavitational ultrasonic surgical aspiration. Alternatively, 5-percent imiquimod cream is a immunomodulatory topical treatment for genital was. Other topical agents which may be applied for treatment of was are : Podophyllin which is a antimitoric agent available in a 10 to 25% tinctute of benzoin solution and disrupts viral activity by inducing local tissue necrosis. Alternatively, trichloroacetic acid and bichloroacetic acid are proteoplytic agents and are applied serially to was by clinicians. Intralesion injection of interferon is also an effective treatment for was. However as this method has high cost, is painful and is inconvenient to administer, So this therapy is not recommended as a primary modality and is best reserved for recalcirrant cases. Of therapy choice no data suggest the superiority of one treatment. Thus in general treatment should be selected based on clinical circumstances and patient and provider preferences.